Feature of Torsades de pointes is?
1. Normal P waves
2. Short QRS complex
3. Prolonged QTc interval
4. Short QTc interval

Correct answer: 3. Prolonged QTc interval

Explanation: Torsades de pointes/Polymorphic V. Tachycardia-Prolonged QTc interval QTc=''C'' means corrected T wave,as it does not end immediately. T wave goes in slight gradual slope, so we exactly cannot pin point end of the T wave. So to pin point end of T wave ,mathematical scenario called as QTc is used